The most sensitive method for detecting cervical Chlamydia trachomatis infection is -
1. Direct fluorescent antibody test
2. Enzyme immunoassay
3. Polymerase chain reaction
4. Culture on irradiated McConkey cells

Correct answer: 3. Polymerase chain reaction